Most common type of shock in surgical practice is?
1. Cardiogenic shock
2. Hypovolemic shock
3. Neurogenic shock
4. Septic shock

Correct answer: 2. Hypovolemic shock

Explanation: ANSWER: (B) Hypovolemic shockREF: with textSurgeons routinely encounter hypovolemic shock, with hemorrhage being the most frequent specific cause" (Ref: Sabiston 18th ed chapter 5)The most common cause of shock in the surgical or trauma patient is loss of circulating volume from hemorrhage. (Ref: Schwartz 9th ed chapter 5)